In alcohol withdrawal which is not seen -
1. Seizure
2. Blackout
3. Coarse tremor
4. Hallucination

Correct answer: 2. Blackout

Explanation: Blackout occurs during acute intoxication (not during withdrawal). All the other options can occur in alcohol withdrawal.